Severe generalized edema is called as:
1. Pitting edema.
2. Anasarca.
3. Myxoedema
4. Dependent edema

Correct answer: 2. Anasarca.

Explanation: Severe generalized edema is called as Anasarca/dropsy.